Lisch nodule is seen in:
1. Von-Recklinghausens disease
2. Motor disease
3. Myasthenia gravis
4. Drug induced myopathy

Correct answer: 1. Von-Recklinghausens disease

Explanation: Ans. A i.e. Von-recklinghausen's disease Dermatological signs and conditions associated Casal's necklace: Pellagra Berloque dermatitis: Cosemtics Calcinosis cutis: Scleroderma Crocodile skin: Icthyosis Iris pearls: Leprosy Obstruction of pilo-sebaceous glands: Acne vulgaris Micro-Munro abscess: Psoriasis Pautrier microabscess: Mycosis fungoides Max Joseph space: Lichen planus Basal layer degeneration/ Hydropic degeneration/ Liquefaction degeneration: Lichen planus (also in DLE, pemphigus etc.) Asboe Hansen sign (bulla spread sign): Pemphigus Dubios sign: Congenital syphilis 011endroff sign: Secondary syphilis